To observe a recurrent caries under a class II amalgam restoration, vertical angulation of the central Xrays should be
1. Perpendicular to the film placed
2. Perpendicular to theocclusal surface of the tooth
3. Parallel to the buccolingual plane of gingival surface of restoration
4. Perpendicular to the cavosurface bevels in the proximal box

Correct answer: 3. Parallel to the buccolingual plane of gingival surface of restoration